In CEAP clinical classification what does C-4b indicate
1. Edema
2. Pigmentation or eczema
3. Healed venous ulcer
4. Lipodermatosclerosis or atrophie blanche

Correct answer: 4. Lipodermatosclerosis or atrophie blanche

Explanation: The CEAP (Clinical - Etiology - Anatomy - Pathophysiology)classifi cation for chronic venous disorders is widely utilised.Clinical classification* C0: no signs of venous disease* C1: telangectasia or reticular veins* C2: varicose veins* C3: oedema* C4a: pigmentation or eczema* C4b: lipodermatosclerosis or atrophie blanche* C5: healed venous ulcer* C6: active venous ulcer